True about coding strand of DNA
1. Minus stand
2. Template strand
3. Runs at 3'-5' direction
4. Runs at 5'-3' direction

Correct answer: 4. Runs at 5'-3' direction

Explanation: DNA Replication : Origin of replication is identified.Then unwinding of parental DNA ro form a replication fork. RNA primer complementary to thw the DNA template is synthesized by RNA primase. DNA Synthesis is continuous in the leading strand by DNA polymerase. DNA synthesis is discontinuous in the lagging strand , as Okazaki fragments Elongation : In both strands, the synthesis is from 5' to 3' direction. Then the RNA p8eces are removed ; the gaps filled by deoxynucletides by DNAP and the pieces are ligated by DNA polymerase. Finally organized into chromatin. Main enzymes involved in replocation are : DNA polymerase ; helicase ; topisomerases ; DNA primase single strand binding proteins ; and DNA ligase. REFERENCE :DM.VASUDEVAN.TEXTBOOK SEVENTH EDITION ; PAGE NO 581